Which of these is associated with Prions?
1. DNA and RNA
2. DNA, RNA, and proteins
3. RNA and proteins
4. Only proteins

Correct answer: 4. Only proteins

Explanation: Prions or proteinaceous infectious particles that lack nucleic acids. There are composed of largely 16 not entirely of PrPSE molecules. Ref: Ananthanarayana textbook of Microbiology 9th edition Pgno : 442